Lipid lowering agents statins acts in all the following ways except-
1. Decreased hepatic cholesterol synthesis
2. Decreased LDL receptors
3. Inhibiting HMG CoA reductase
4. Decreasing VLDL

Correct answer: 2. Decreased LDL receptors

Explanation: Ans. is 'b' i.e., Decreased LDL receptor o Statins do not decrease LDL receptors, but instead increases their number.